Hyaline arteriosclerosis is seen in:
1. Malignant HTN
2. Benign HTN
3. PAN
4. SLE

Correct answer: 2. Benign HTN

Explanation: Ans: b (Benign HTN) Ref: Robbins, 7th ed, p. 1006The histological features of Benign/Malignant HTN & DM in kidney are extremely important.Try to learn these by heart!Renal changes in HTNBENIGNMALIGNANTG/A: Grain leatherB/L symmetrical, shrunkenkidneyFlea bittenNormal/ShrunkenM/E: Fibroelastic hyperplasiaHyaline arteriosclerosisIntimal sclerosisHyperplastic arteriolitisOnion skin appearanceChanges in DM* Most common pathological change- Thickening of glomerular Bm* Most common pattern of involvement- Diffuse glomerular sclerosis* Pathognomonic lesion is- Nodular glomerulosclerosisOrKimmelsteil Wilson lesionOrIntercapillary glomerulosclerosis.